Number of layers in neocortex is:
1. 4
2. 5
3. 6
4. 7

Correct answer: 3. 6

Explanation: Typical neocortex is described as having six layers or laminae lying parallel to the surface Ref: Gray's anatomy 40th edition, Chapter 22.